Which of the following is NOT a characteristic feature of sepsis?
1. Temperature > 38 degrees C or <36 degrees C
2. Heart rate > 90/min
3. WBC count > 12000/mm2
4. Respiratory rate 14-18/min

Correct answer: 4. Respiratory rate 14-18/min